Vector for Trypanosoma Cruzi is
1. Tse - Tse fly
2. Reduvid bug
3. Sand fly
4. Black fly

Correct answer: 2. Reduvid bug

Explanation: Transmission is by rubbing of reduviid bugs.